One of the following is a characteristic of Henoch- Schonlein Purpura -
1. Blood in stool
2. Thrombocytopenia
3. Intracranial hemorrhage
4. Susceptibility to infection

Correct answer: 1. Blood in stool